Pregnant and lactating mothers need_____ mg of dietary calcium per day
1. 400 mg
2. 600 mg
3. 800 mg
4. 1000 mg

Correct answer: 4. 1000 mg

Explanation: Ans. d (1000 mg) (Ref. Park Textbook of PSM 22nd/pg.590; table 29)PREGNANCYLACTATION# Extra calories - 300,# Extra calories - 550 (0 to 6 months) 400 (6 to 12 months),# Extra proteins - 15 g,# Extra proteins - 25 gm (0 to 6 months) 18 gm (6 to 12 months),# Calcium 1000 mg/day,# Calcium 1000 mg/day, iron - 30 mg/day,# Iron - 38 mg/day,# Folic acid - 150 mg/day.# Folic acid - 400 mg/day.